The posterior relation of epiploic foramen is?
1. Hepatic artery
2. Inferior vena cava
3. Common bile duct
4. Portal vein

Correct answer: 2. Inferior vena cava

Explanation: Epiploic foramen or aditus to lesser sac communicates lesser sac to greater sac. It is bounded posteriorly by inferior vena cava, suprarenal gland and T12 vertebra. Epiploic foramen: also known as foramen of winslow is a vertical slit like opening, through which the lesser sac communicates with the greater sac. It is situated at the upper wall of lesser sac at the level of T12. Boundaries of the epiploic foramen: Anteriorly: right free margin of lesser omentum containing portal vein, hepatic artery and bile duct Posteriorly: suprarenal gland, inferior vena cava and T12 vertebra Superiorly: caudate lobe of liver Inferiorly: 1st part of duodenum and hepatic artery